The portal venous system contributes approximately 75% of the blood and 72% of the oxygen supplied to the liver. Which of the following is TRUE about valves in portal venous system?
1. Present at the junction of superior mesenteric artery with the splenic artery
2. Within the portal vein only
3. The whole system is valveless
4. In the intrahepatic portion of portal vein

Correct answer: 3. The whole system is valveless

Explanation: The portal venous system is without valves and drains blood from the spleen, pancreas, gall bladder, and abdominal portion of the alimentary tract into the liver. Tributaries of the portal vein communicate with veins draining directly into the systemic circulation. These communications occur at the gastroesophageal junction, anal canal, falciform ligament, splenic venous bed and left renal vein, and retroperitoneum. Ref: Geller D.A., Goss J.A., Tsung A. (2010). Chapter 31. Liver. In F.C. Brunicardi, D.K. Andersen, T.R. Billiar, D.L. Dunn, J.G. Hunter, J.B. Matthews, R.E. Pollock (Eds), Schwartz's Principles of Surgery, 9e.